Mark the wrong statement regarding conjunctiva
1. Blood supply is through posterior ciliary artery
2. Lymphatic drainage through pre auricular lymph nodes
3. Goblet cells are mucous secreting cells
4. Wolfring glands are accessory lacrimal glands

Correct answer: 1. Blood supply is through posterior ciliary artery

Explanation: Blood supply is through anterior ciliary artery and not posterior ciliary artery Blood Supply * Anterior ciliary artery and palpebral arteries Lymphatic drainage * Pre auricular& Submandibular lymph nodes Histology * Epithelium * Adenoid Layer * Fibrous layer Glands Mucous SecretingGoblet cells (location- within the conjuctival epithelium) Crypts of Henle Manz Accessory Lacrimal cells (Location-deep embedded in stroma.) * KRAUSE * WOLFRING